Most common antibody in sjogren syndrome
1. Anti-DNA topoisomerase
2. Anti-Centromere
3. Anti-RNA polymerase
4. Anti-Ribonucleoprotein

Correct answer: 4. Anti-Ribonucleoprotein

Explanation: Ans. (d) Anti-Ribonucleoprotein(Ref: Robbins 9th/pg218; 8th/pg213)Autoantibodies in Sjogren's syndrome:Anti SS-A (Ro) and SS-B (La) Q: Most important, present in 90% patients;High titers of Anti SS-A - more likely to have early disease onset, longer disease duration, and extra- glandular manifestations (eg cutaneous vasculitis and nephritis)Rheumatoid factor (an antibody reactive with self IgG): in 75% Q, ANA: in 50% to 80%